Which of the following is anabolic hormone:
1. Corticosteroids
2. Glucagon
3. Insulin
4. Somatostatin

Correct answer: 3. Insulin

Explanation: [Cl (Insulin): Ref 545-RS 7thINSULIN is a protein hormone. It plays an important role in metabolism causing increased carbohydrate metabolism, glycogenesis/glycogen storage; FA synthesis/TG storage and amino acid uptake/protein synthesis. Thus insulin is an important anabolic hormone which act on variety of tissues. Major target tissues of insulin are the muscles, liver, adipose tissue and heart.